A patient is unable to close her right eye. Physical examination reveals weakness of the right orbicularis oculi. Which of the following additional symptoms would likely also be present?
1. Blurred vision
2. Hyperacusis
3. Inability to chew
4. Inability to feel the face

Correct answer: 2. Hyperacusis

Explanation: If the lesion affected the facial nerve more proximally, additional findings would be hyperacusis (increased sensitivity to sound because of stapedius muscle paralysis), lack of taste sensation in the anterior two-thirds of the tongue, and disturbed lacrimation and salivation.